Contrast used in CT :
1. Gadolinium
2. Technitium
3. Iodine
4. Chromium

Correct answer: 3. Iodine

Explanation: C i.e. Iodine